Congenital Wilson's disease is characterized by
1. KF ring is present at birth
2. May present as acute hepatitis
3. Decreased Urinary copper excretion
4. Decreased hapatic copper concentration

Correct answer: 2. May present as acute hepatitis

Explanation: Ans. is 'b' i.e., May present as acute hepatitis o KF ring develop after sometime due to deposition of copper in cornea. o It may present as acute or chronic liver disease. o Hepatic copper concentration and urinary excretion of copper are incerased.